Drugs which increases nitric oxide are all except?
1. Glycerine trinitrate
2. Hydralazine
3. Sodium nitroprusside
4. Fenoldopam

Correct answer: 4. Fenoldopam

Explanation: Ans. is 'd' i.e., Fenoldopam o NO donors, which release NO are used to elicit smooth muscle relaxation. Drugs are - 1. Organic nitrates (nitroglycerine) 3. Sodium nitroprusside 5. Nebivolol 2. Organic nitrites (Isoamylnitrite) 4. Hydralazine